Refractory schizophrenia - What is the treatment of choice -
1. Haloperidol
2. Flupenthixol
3. Trifluoperazine
4. Clozapine

Correct answer: 4. Clozapine

Explanation: Ans. is 'd' i.e., Clozapine o Clozapine (but not the newer atypicals) is more effective than classical agents for resistant schizophrenia.